Which vitamin is given in type 2B familial hyperlipidemia?
1. Thiamine
2. Riboflavin
3. Nicotinic acid
4. Panthothenic acid

Correct answer: 3. Nicotinic acid

Explanation: Niacin or nicotinic acid is vitamin. Niacin is converted to its coenzyme forms NAD and NADPTreatment of hyperlipidemia:Niacin (at doses of 1.5 g/day or 100 times the Recommended Dietary Allowance or RDA) strongly inhibits lipolysis in adipose tissue--the primary producer of circulating free fatty acids. The liver normally uses these circulating fatty acids as a major precursor for triacylglycerol synthesis. Thus, niacin causes a decrease in liver triacylglycerol synthesis, which is required for very-low-density lipoprotein (VLDL, see p.231) production. Low-density lipoprotein (LDL, the cholesterolrich lipoprotein) is derived from VLDL in the plasma. Thus, both plasma tri acylglycerol (in VLDL) and cholesterol (in VLDL and LDL) are lowered. Therefore, niacin is particularly useful in the treatment of Type IIb hyperlipoproteinemia, in which both VLDL and LDL are elevated. Ref: Lippincott, 5th edition, page no: 380